Maxillary artery is
1. Branch of facial artery
2. Branch of internal carotid artery
3. Branch of common carotid
4. Terminal branch of external carotid

Correct answer: 4. Terminal branch of external carotid

Explanation: Branches of external carotid artery Anterior Superior thyroid Lingual Facial Posterior Occipital Posterior auricular Medial Ascending pharyngeal Terminal Maxillary Superficial temporal Ref BDC volume 3 ;sixth edition pg 101